Choledochotomy is indicated in all of the following except in patients with
1. Palpable CBD stones
2. History of Jaundice or Cholangitis
3. Abnormal alkaline phosphatase
4. Abnormal gamma-glutamyl transferase

Correct answer: 4. Abnormal gamma-glutamyl transferase

Explanation: Choledochotomy is indicated when there is palpable stones in the CBD,dilated CBD,jaundice/history of jaundice/cholangitis,abnormal liver function tests like raised alkaline phosphatase. Reference: Bailey & Love's short practise of surgery,25th edition,page no:1124.